All are major cytokines in chronic inflammation except
1. IL-6
2. IL-12
3. IFN-y
4. IL-17

Correct answer: 1. IL-6

Explanation: Ans. (a) IL-6(Ref: Fundamental immunology by William E Paubl 1030, Koj -chapter 3; Refer to Ans 69)Il6 IS INVOLVED IN ACUTE FRBRILE RESPONSES Others are involved in chronic inflammation